Daily requirement of protein
1. 1gm/kg body weight
2. 1.2 gm/kg body wt
3. 2gm /kg body wt
4. 2.5 gm/kg body wt

Correct answer: 1. 1gm/kg body weight

Explanation: Dietary intakes of protein It is customary to express requirement in terms of grams per kg of body weight. This principle applies to all age groups, although absolute additions in units of grams of protein per day are made for pregnancy and lactation. The ICMR Expert Group suggested an intake of one gram of protein per kg of body weight for adult males and females, assuming a NPU of 65 for the dietary protein. Table 29 gives the protein intakes for individuals of different ages and physiological states. Ref: Park 25th edition Pgno : 666